The minimum recommended concentration of free chlorine in drinking water at the end of one hour (mg/L) is –
1. 0.1
2. 0.5
3. 1
4. 1.5

Correct answer: 2. 0.5